Which is not true regarding Insulinoma ?
1. Hypoglycemic attacks
2. Weight loss
3. Usually Solitary tumour
4. Mostly benign tumour

Correct answer: 2. Weight loss

Explanation: Ans is 'b' ie Weight loss As already discussed : Hypoglycemic attacks are part of Whipple's triad Insulinoma is usually solitary (-90%) Only 5 to 15% are malignant